All of the following are morphological types of supernumerary teeth
1. Conical.
2. Supplemental.
3. Heart shaped.
4. Odontome.

Correct answer: 3. Heart shaped.